Peptic ulcer is associated with all except:
1. Hyperparathyroidism
2. Pernicious anaemia
3. Cirrhosis
4. Zollinger Ellison Syndrome

Correct answer: 2. Pernicious anaemia

Explanation: Peptic ulcer is seen in Zollinger Ellison Syndrome, Cirrhosis and Hyperparathyroidism.